A 38-year-old man has had thyroid surgery to remove his papillary carcinoma. The external laryngeal nerve that accompanies the superior thyroid artery is damaged during the surgery.This injury could result in a severe impairment of function of which of the following
1. Relaxing the vocal cords
2. Rotating the arytenoid cartilages
3. Tensing the vocal cords
4. Widening the rima glottidis

Correct answer: 3. Tensing the vocal cords

Explanation: The External laryngeal nerve innervates the cricothyroid muscle (major tensor), which tenses the vocal cord. Hence damage to this nerve will lead to inability to tense the vocal cords.